One of them is NOT a principle of health education:
1. Credibility
2. Feedback
3. Setting an example
4. Utilization

Correct answer: 4. Utilization